A person who works in brass industry presents to emergency with chills and rigors. Which of the following poisoning is most likely?
1. Red phosphorus
2. Mercury
3. Arsenic
4. Zinc

Correct answer: 4. Zinc

Explanation: Symptoms of metal fume fever occur up to 24 hours after exposure to zinc oxide fumes. It presents as an influenza-like illness with a headache, fever, sweating, chest tightness and discomfort, and joint pains. zinc oxide fumes is associated with a dose-dependent marked inflammatory response in the lung. The pathogenesis is not known but is thought to result from endogenous pyrogen release due to cell lysis. Ref - Krishan Vij textbook of forensic medicine and toxicology 5e pg - 567